The denominator of general fertility rate is
1. Midyear population of Women of 15-44 years age
2. Total year population of women of reproductive age group
3. Average population of women in a year
4. Any of the above

Correct answer: 1. Midyear population of Women of 15-44 years age